Which of these is an absolute contraindication for VBAC (vaginal birth after caesarean)?
1. Previous 1 LSCS
2. Previous classical caesarean section
3. Previous LSCS done for breech presentation
4. Previous LSCS done for placenta previa

Correct answer: 2. Previous classical caesarean section

Explanation: Women with previous 1 LSCS, may be offered a VBAC after counselling about risk of uterine rupture and morbidity. Previous classical caesarean/ previous uterine rupture is an absolute contraindication Previous history of breech presentation and previous history of placenta previa are both non recurring indications Risk of rupture PRIOR INCISION RISK OF RUPTURE (%) Classical 2-9 T shaped 4-9 Low vertical 1-7 Single low transverse 0.2-0.9 Multiple low transverse 0.9-1.8 Previous preterm CS Increased Prior uterine rupture 2-6 (lower segment)9-32 (upper segment)